New born male baby presented with congestive heart failure.  On examination enlarged fontanelles, a loud cranial bruit and following radiological finding was noted-the most likely diagnosis:
1. Sinus peri cranii
2. Vein of Galen malformation
3. Arachnoid cyst
4. Dandy walker malformation

Correct answer: 2. Vein of Galen malformation

Explanation: Ref. Grainger and Allison's Diagnostic Radiology. Page. 189